Test for tight iliotibial band is:
1. Ober's test
2. Osber's test
3. Simmand's test
4. Charnley's test.

Correct answer: 1. Ober's test

Explanation: Ans. is 'a' i.e. Ober's test Ober's test is for tight ilio tibial band {eg. in Polio)